Which of the following is not a feature of chronic tonsillitis?
1. Fever
2. Halitosis
3. Recurrent attacks of sore throat
4. Choking spells at night

Correct answer: 1. Fever

Explanation: Ans. is 'a' i.e., Fever(ref Dhingra 6h/e p. 258]Fever is a symptom in case of acute tonsillitis, not chronic tonsillitis.Chronic tonsillitis is characterized by:- Recurrent attacks of sore throat or acute tonsillitis.